Which of the following DMARDs require liver function testing?
1. Methotrexate
2. Infliximab
3. Abatacept
4. Cyclophosphamide

Correct answer: 1. Methotrexate

Explanation: Methotrexate can lead to hepatotoxicity and therefore require regular liver function assessment.